Which one of the following conditions does not present with inspiratory stridor in children?
1. Laryngomalacia
2. Acute epiglottitis
3. Bronchiolitis
4. None

Correct answer: 3. Bronchiolitis

Explanation: (c) Bronchiolitis(Ref. Current Diagnosis & Treatment Otolaryngology, Lalwani, 3rd ed., 481)Bronchiolitis is an acute inflammatory injury of the bronchioles that is usually caused by a viral infection (most commonly respiratory syncytial virus). There will be wheeze in this condition.